Which of the following is not a component of the dense granules of platelets?
1. ADP
2. Calcium
3. Epinephrine
4. Platelet factor 4

Correct answer: 4. Platelet factor 4

Explanation: Ans. (d) Platelet factor 4(Ref: Robbins 9th/pg 660)Dense (or d) granules of platelets contain: ("DENSE")aDENosine diphosphate (ADP) Q, Serotonin Q, Epinephrine Q, Ca